Loud P2 is found in ?
1. Pulmonary HTN
2. MS
3. MR
4. Aortic incompetence

Correct answer: 1. Pulmonary HTN

Explanation: Answer- A. Pulmonary HTNPulmonary hypertension unless proved otherwise.Eisenmenger's syndrome due to ASD, VSD, PDA.Multiple pulmonary thrombi